Haverhill fever is caused by ?
1. Bartonella henselae
2. Streptobacillus moniliformis
3. Eikenella corrodens
4. Coccidioides

Correct answer: 2. Streptobacillus moniliformis

Explanation: Ans. is 'b' i.e., Streptobacillus moniliformis Streptobacillus moniliformis causes rat-bite fever in humans.It enters the body through the wound caused by the rat bite.The infection also occurs by the ingestion of water, milk or food contaminated with rat excreta. In these cases, the infection is known as 'Haverhill fever'.Clinical symptoms include fever, rash and arthralgia.